The volatility of an anesthetic agent is directly proportional to lowering the flow in the portal vein. Portal flow is maximally reduced by –
1. Ether
2. Halothane
3. Isoflurane
4. Enflurane

Correct answer: 2. Halothane

Explanation: All volatile anaesthetic agents reduce portal hepatic blood flow. This decrease is greatest with halothane and least with isoflurane.